All are true about Neisseria gonorrhea EXCEPT
1. Gram positive cocci
2. Causes stricture urethra
3. Involves seminal vesicals and spreads to epididymis
4. Drug of choice is Ceftriaxone

Correct answer: 1. Gram positive cocci